Recognised cause of stridor in newborn-
1. Cystic hygroma
2. A Vascular ring
3. Laryngomalacia
4. All are true

Correct answer: 4. All are true

Explanation: Ans. is 'd' i.e., All of the above Stridor o Stridor refers to the physical finding of excessively noisy breathing and is general due to airway obstruction. Causes of Stridor in a child Infections Congenital Neoplasms o Croup (laryngotracheobronchitis) o Laryngomalacia o Subglottic hemangioma o Epiglotitis o Vocal cord palsy o Laryngeal papillomas o Bacterial tracheitis o Subglottic stenosis o Retropharyngeal abscess o Vascular ring o Saccular cyst o Cystic hygroma, when it occurs in larynx then it can cause respiratory tract obustruction